A man injured his eye in an accident. After two weeks his other developed minor signs of anterior uveitis. Histologic sections of the traumatized eye shows Dalen-Fuchs nodules. Diagnosis is
1. Sympathetic ophthalmia
2. Anterior uveitis
3. Eye injury
4. Glaucoma

Correct answer: 1. Sympathetic ophthalmia

Explanation: Sympathetic ophthalmia is an inflammation in the second eye after the other has been damaged by penetrating injury. The uninjured or "sympathizing" eye develops minor signs of anterior uveitis after a period ranging from 2 weeks to many years. As a result of ciliary body inflammation, floating spots and loss of the power of accommodation are among the earliest symptoms. The disease may progress to severe iridocyclitis with pain and photophobia. The retina usually remains uninvolved except for perivascular cuffing of the retinal vessels with inflammatory cells. There may be choroidal lesions, representing the macroscopic manifestation of Dalen-Fuchs nodules. Ref: Chan T.Y., Hodge W.G. (2011). Chapter 16. Immunologic Diseases of the Eye. In P. Riordan-Eva, E.T. Cunningham, Jr. (Eds), Vaughan & Asbury's General Ophthalmology, 18e.